Ferruginous bodies are seen in
1. Silicosis
2. Byssinosis
3. Asbestosis
4. Bagassosis

Correct answer: 3. Asbestosis

Explanation: Inorganic particles may become coated with iron protein complexes and ate called Ferruginous bodies A ferruginous body is a histopathologic finding in interstitial lung disease suggestive of significant asbestos exposure (asbestosis). Asbestos exposure is associated with occupations such as shipbuilding, roofing, plumbing, and constructio Refer robbins 9/e